Punch drunk is boxers is a type of
1. Delirium
2. Dementia
3. Disability
4. Depression

Correct answer: 2. Dementia

Explanation: Punch drunk syndrome: Head injury is a risk factor for Dementia. People who take part in boxing are at a risk of developing Dementia. This is due to repeated minor traumas to the cortex, basal ganglia, cerebellum resulting beta-amyloid deposition in the brain Reference: P no. 110 chap.7 Factors influencing risk of Dementia Handbook of Dementia, Kar& Jolley